A resident at the emergency department is preparing for a lumbar puncture in a 26 years old female with suspected subarachnoid bleeding. Although she presented with altered sensorium, CT brain was found to be normal. During LP, which structure is pierced after the spinal needle crosses interspinous ligament?
1. Ligamentum flavum
2. Arachnoid membrane
3. Areolar tissue
4. Subarachnoid space

Correct answer: 1. Ligamentum flavum

Explanation: Ans: (a) Ligamentum flavumRef: Morgan's Clinical Anesthesiology, 5th edition, Chapter 16STRUCTURES PIERCED BY SPINAL NEEDLE DURING LP1. Skin2. Subcutaneous tissue3. Supraspinous ligament4. Interspinous ligament5. Ligamentum flavum6. Dura mater7. Arachnoid membrane